Level of fibrinogen in full term pregnancy at term:
1. 200-400
2. 300-600
3. 150-200
4. None of these

Correct answer: 2. 300-600

Explanation: Ans b (300-600) Ref: Dutta 6th ed, p. 52Fibrinogen level is raised by 50% from 200-400 mg% in non pregnant to 300-600 mg% in pregnancy. ESR shows a four fold increase in pregnancy. Platelet falls to 15% of pre pregnant level. Gestational thrombocytopenia may be due to increased platelet consumption.Pregnancy is a hypercoagulable state.Haematological changes in pregnancyBlood volume is markedly raised to 30 - 40%Plasma volume increases by 40- 50%Red cell volume increases by 20 - 30%Because plasma volume increases by 40-50% and red cell volume only by 20-30% there is haemodilution in pregnancy.Fibrinogen is raised by 50%ESR shows four fold increaseEven though there is increase in activities of clotting factors like X, XI, VIII, VII and II. the clotting time does not show any significant change.There is no significant change in central venous pressure, mean arterial pressure and pulmonary capillary wedge pressure. But there is mild increase in pulmonary wedge pressure (no significant change, only mild increase).Normal albumin globulin ratio of 1.7:1 is diminished to 1:1Haemoglobin falls by 2 gm% from the normal non pregnant valueBlood picture shows neutrophilic leucocytosis and it is attributed to the rise in levels of estrogen and cortisol.